In maple syrup disease, the amino acids excreted in urine are:
1. Valine, Leucine, Isoleucine
2. Phenylalanine, Leucine, Isoleucine
3. Tyrosine Leucine, Isoleucine
4. Isoleucine, Valine,Phenylalanine

Correct answer: 1. Valine, Leucine, Isoleucine

Explanation: Valine, Leucine, Isoleucine